Differential diagnosis of hypercementosis includes all of these EXCEPT
1. Cemental dysplasia
2. Cementat aplasia
3. Condensing osteitis
4. Focal periapical osteopetrosis

Correct answer: 2. Cementat aplasia